A 10-year old boy presents to the pediatric emergency unit with seizures. Blood pressure in the upper extremity measured as 200/140 mm Hg. Femoral pulses were not palpable. The most likely diagnosis amongst the following is:
1. Takayasu's aortoarteritis
2. Renal parenchymal disease
3. Grand mal seizures
4. Coarctation of aorta

Correct answer: 4. Coarctation of aorta

Explanation: Isolated upper extremity hypertension (200/140 mm Hg), with absent/diminished femoral pulses, is characteristic of coarctation of the aortaSeizures may be due to severe hypertension or due to intracranial haemorrhage(from berry aneurysms which are more common in patients with coarctation)The classic sign of coarctation of the aorta is a disparity in pulsations and blood pressures in arms and legsThe femoral, popliteal, posterior tibial and dorsalis pedis pulses are weak (or absent in about 40% of patients) in contrast to bounding pulses in the arms and carotid vesselsBP in the legs is lower than in the arms and 90% of patients have hypertension in upper extremity greater than the 95th percentile for ageAge (yrs)95th percentile (mm Hg)>1 110/601-5115/756-10125/8511-18140/90Takayasu aortoarteritis may also present with severe hypertension and absent femoral pulses due to acquired mid-aortic coarctation (but this is an uncommon presentation)Most commonly affects subclavian artery and more commonly presents with claudicationCoarctation TakayasuMore commonMore common in boysUpper extremity hypertensionBounding pulses in arms and diminished or absent pulses in lower limbsHypertension is frequentLess commonMore common in girls (8:1 = f:m)Absent or decreased upper limb pulses and blood pressure difference between left and right arms are characteristicHypertension is frequentSystemic symptoms are more common(ref: Harrison's 18/e p1925)